Blocking of the internal air passage by external pressure over neck & chest is
1. Gagging
2. Choking
3. Smothering
4. Wedging

Correct answer: 4. Wedging

Explanation: Cause Condition Occlusion of the internal airways by external pressure over neck Strangulation/hanging Blockage of the external orifices Smothering Blockage of the internal airways at nasopharynx Gagging Blockage of the internal airways at larynx Choking Occlusion of mouth and nose, and blockage of the internal airways by external pressure Overlaying Restriction of chest movement due to external mechanical fixation Traumatic asphyxia Occlusion of the internal airways by external pressure Wedging